Beta-lactamase production is a mechanism of resistance common to strains of H. influenzae, M. catarrhalis, and Neisseria gonorrhoeae. Which one of the following drugs is most likely to be effective against ALL strains of the above organisms?
1. Amoxicillin
2. Ceftriaxone
3. Clindamycin
4. TMP-SMX

Correct answer: 2. Ceftriaxone

Explanation: Ceftriaxone (IM) is a drug of choice in gonorrhea and is also highly effective in otitis media, infections in which beta-lactamase-producing strains of H. influenzae and M. catarrhalis are commonly implicated. The fourth-generation drug, cefepime, also has activity against these organisms. Amoxicillin and ticarcillin are susceptible to beta-lactamases. TMP-SMX does not cover all strains of the organisms listed, and the activity of clindamycin is restricted to gram-positive cocci and anaerobes.